Cricoid cartilage is a derivative of which branchial arch?
1. IIIrd arch
2. IVth arch
3. VIth arch
4. Hypobranchial eminence

Correct answer: 3. VIth arch

Explanation: Cricoid is derived from VIth arch. Other cartilages of VIth arch derivation are arytenoids and corniculate.Thyroid and cuneiform cartilages are derived from IVth arch.Epiglottis is derived from hypobranchial eminence and possibly also from ventral ends of IVth arch.